Which of the following is seen in Marasmus and not in Kwashiorkar
1. Voracious appetite
2. Fatty change in liver
3. Hypoalbuminemia
4. Edema

Correct answer: 1. Voracious appetite

Explanation: Marasmic children may show voracious appetite.Edema,hypoalbuminemia and hepatomegaly are features of kwashiorkor. Ref : Ghai essential pediatrics 6th edition. Page 104 & 105